The first incisors to erupt in an infant:
1. Lower central
2. Lower lateral
3. Upper central
4. Upper lateral

Correct answer: 1. Lower central

Explanation: Ans. Lower central